Tetracyclines are not useful for :
1. Trichomonas
2. Chlamydia
3. Syphilis
4. Rickettsia

Correct answer: 1. Trichomonas